Test for confirming H.pylori eradication is
1. Urea breath test
2. Serology
3. Urine antigen test
4. Endoscopy biopsy test

Correct answer: 1. Urea breath test

Explanation: The test of choice for documenting of H. pylori eradication is the laboratory-based validated monoclonal stool antigen test or a urea breath test (UBT).The patient must be off antisecretory agents when being tested for the eradication of H. pylori with UBT or stool antigen. Serologic testing is not useful for the purpose of documenting eradication because antibody titers fall slowly and often do not become undetectable.Ref: Harrison; 19th edition; Page no: 1924